Which of the following agents is recommended for treatment of Gastrointestinal Stromal Tumors (GIST) -
1. Sorafenib
2. Imatinib
3. Gefitinib
4. Erlotinib

Correct answer: 2. Imatinib

Explanation: Ans. is 'b' i.e., Imatinib Tyrosine kinase inhibitors imatinib and sunitinib are approved for the treatment of Gastrointestinal Stromal Tumors (GIST)